Taurine is made from ?
1. Glycine
2. Tyrosine
3. Cysteine
4. Phenylalanine

Correct answer: 3. Cysteine

Explanation: Ans. is 'c' i.e., CysteineTaurine is synthesized from cysteine.